Case control study estimates
1. Only odd's ratio
2. Odds ratio and attributable risk
3. Relative risk, attributable risk, population attributable risk
4. Incidence, Relative risk, and attributable risk

Correct answer: 1. Only odd's ratio

Explanation: Case-control studies is basically a comparison study. Cases and control must be comparable with respect to known "confounding factors "such as age, sex occupation, social status etc. The questions asked relate to personal characteristics and antecedent exposures which may be responsible for the condition studied. Ref: 25th edition, Park's Textbook of Preventive and Social Medicine, Page no. 79